Drug not used in Type 1 Lepra reacaEUR' tion is:
1. Antileprotics
2. Analgesics
3. Corticosteroids
4. Thalidomide

Correct answer: 4. Thalidomide

Explanation: Thalidomide